The end product of purine metabolism in non-primate mammals is
1. Uric acid
2. Ammonia
3. Urea
4. Allantoin

Correct answer: 4. Allantoin

Explanation: In non-primate mammals, the end product of purine metabolism is allantoin due to the presence of enzyme uricase. Uricase converts uric acid to allantoin. Humans lack the enzyme uricase. Therefore, the end product of purine catabolism in humans is uric acid